Muller's manoeuver is used ?
1. To findout opening of mouth
2. To remove laryngeal foreign body
3. To find degree of obstruction in sleep disordered breathing
4. To remove foreign body from ear

Correct answer: 3. To find degree of obstruction in sleep disordered breathing

Explanation: Ans. is 'c' i.e., To find degree of obstruction in sleep disordered breathing Muller's manoeuvre Used to find the level and degree of obstruction in sleep-disordered breathing. It is performed while using flexible nasopharyngoscope. First the examiner sees the upper airways at rest and then during the time when patient makes maximal inspiratory effort with nose and mouth closed. Base of tongue, lateral pharyngeal wall and palate are examined for collapsibility and then rated form 0 (minimal collapse) to 4+ (complete collapse).